Prolonged administration of broad spectrum antibiotics results in the formation of:
1. Black hairy tongue
2. Median rhomboid glossitis
3. Geographic tongue
4. Fissured tongue

Correct answer: 1. Black hairy tongue